A 24-year-old woman presents to her physician with weakness in flexing the hip joint and extending the knee joint. Which muscle is most likely involved in this scenario?
1. Sartorius
2. Gracilis
3. Rectus femoris
4. Vastus medialis

Correct answer: 3. Rectus femoris

Explanation: The Rectus femoris flexes the thigh and extends the leg. The Sartorius can flex both the hip and knee joints. The Gracilis adducts and flexes the thigh and flexes the leg The Vastus Medialis extends the knee joint.